Respiratory quotient after heavy carbohydrate meal is:
1. 1
2. 1.2
3. 0.8
4. 0.7

Correct answer: 1. 1

Explanation: Ans. A. 1* Respiratory quotient is defined as CO2 eliminated/O2 consumed.* For glucose, with the molecular formula, C6 H12 O6 , the complete oxidation equation is C6 H12 O6 +6O2 -6CO2 +6H2 O.* Thus, the RQ=6CO2 /6O2 =1.* Insulin, which increases lipid storage and decreases fat oxidation, is positively associated with increases in the respiratory quotient. A positive energy balance will also lead to an increased respiratory quotient.Name of the food stuffRespiratory quotientCarbohydrates1Proteins0.8-0.9Fat0.7Oxalic acid4.0Mixed diet0.8Malic acid1.33